Tetany is not seen in:
1. Malabsorption
2. Hyperventilation
3. Antiestrogen therapy
4. Thyroid Surgery

Correct answer: 3. Antiestrogen therapy

Explanation: Ans. C: Antiestrogen therapy Causes of hypocalcemia: Hypoparathryoidism Hyperventilation Vitaminn D deficiency Acute pancreatitis Hypomagnesemia Small bowel resection Secondary hypoparathyroidism, including surgery of the thyroid/parathyroid, trauma, infection, burns, cancer Frequent vomiting Excessive ingestion of alkali Respiratory alkalosis Chronic alcoholism Small bowel bypass Strychnine Hyperaldosteronism Chelation of calcium Low Vitamin D, from causes such as malnutrition, malabsorption, kidney disease, infection and drugs Severe diarrheoa Low calcium diet